HLA Complex in man is located on chromosome:
1. 5
2. 6
3. 7
4. 8

Correct answer: 2. 6

Explanation: 6